Which of the following nutrients are not included in Total Parental Nutrition
1. Lipids
2. Carbohydrates
3. Proteins
4. Fibers

Correct answer: 4. Fibers

Explanation: Components of Total Parenteral Nutrition Energy sources Carbohydrates Lipids Amino acids Non-Energy Essential sources Electrolytes Trace elements Vitamins Water Ref: Bailey and love 27th edition Pgno :286